Laser trabeculoplasty is done for
1. Chronic angle closure glaucoma
2. Neovascular glaucoma
3. Pseudoexfoliative glaucoma
4. Uveitic glaucoma

Correct answer: 3. Pseudoexfoliative glaucoma

Explanation: Laser Trabeculoplasty is useful in patients with primary or secondary open angle glaucoma. It acts by producing a thermal energy at the point of application which will produce micro scars. As the micro scars contract, surrounding un-lasered tissue is stretched there by allowing for better drainage. Repopulation of the trabecular meshwork by stimulation of the cellular division is another possible mechanism. New formed cells are more efficient at allowing drainage. In the given options, Pseudoexfoliation syndrome and Uveitic glaucoma are secondary open angle glaucoma. Uveitic glaucoma patients require control of the uveitis and usually medical treatment of glaucoma. Surgical intervention including laser treatment can worsen the uveitic component of the disease. Pseudo exfoliation syndrome (PES) is characterized by deposition of an amorphous grey dandruff-like material on the pupillary border, anterior lens surface, posterior surface of iris, zonules and ciliary processes. Secondary open-angle glaucoma is associated in about 50% of the cases. Exact mechanism of rise of IOP is also not clear. Trabecular blockage by the exfoliative material is considered as the probable cause. Clinically, the glaucoma behaves like POAG and is managed by Laser Trabeculoplasty (Increases Trabecular Outflow) Laser trabeculoplasty causes damage, inflammation and scarring of trabecular mesh work causing opening up of trabecular spaces. Since it causes a lot of inflammation it is not used for cases where already there is a lot of inflammation like uveitic glaucoma and neovascular glaucoma.